A patient seeks help for recurrent palatal pain. She presents with multiple punctate ulcers in the hard palate that were preceded by tiny blisters. Her lesions typically heal in about 2 weeks and reappear during stressful times. She has _____.
1. Aphthous ulcers
2. Recurrent primary herpes
3. Recurrent secondary herpes
4. Erythema multiforme

Correct answer: 3. Recurrent secondary herpes

Explanation: Recurrent intraoral herpes simplex infections occur only in the hard palate and hard gingiva, with the exception of AIDS patients. Blister (vesicle) history and recurrence are also supportive of this diagnosis.